Ritter's disease is caused by
1. Bacillus anthracis
2. Streptococcus pneumoniae
3. Staphylococcus aureus
4. Pseudomonas aeruginosa

Correct answer: 3. Staphylococcus aureus

Explanation: The severe form of staphylococcal scalded skin syndrome is known as Ritter's disease in the newborn due to an exfoliative toxin. In this disease, the outer layer of epidermis gets separated from underlying tissues. Milder forms are pemphigus neonatorum and bullous impetigo.